A 20 year old boy is brought to the emergency following a RTA with respiratory distress and hypotension. He has subcutaneous emphysema and no air entry on the right side. What is the next best step in the management?
1. Start IV fluids after insertion of wide bore IV line
2. Needle decompression in the 5th intercostal space
3. Shift to ICU and intubate
4. Positive pressure ventilation

Correct answer: 2. Needle decompression in the 5th intercostal space

Explanation: As the clinical scenario is suggestive of diagnosis of Tension Pneumothorax so according to ATLS 10th edition ??" Recent evidences support insertion of needle in 5th I/C space slightly anterior to MAL in Adults Conscious + Speaking Single words Dyspnoea Tachypnea Low BP Absent breath sound on one side Management: Clinical dx with dire emergency: T/t should be never delayed for radiological confirmation. Hence, CXR is not performed. Treatment: Immediate decompression + wide bore needle into 5th ICS ??' mid axillary line T/t of choice: Intercoastal Chest Tube insertion ??' 5th ICS (Triangle of Safety) in anterior axillary lines